Type of injury causing more damage to semilunar cartilage of knee
1. Flexion of knee
2. Extension of knee
3. Rotation of flexed knee
4. Rotation of extended knee

Correct answer: 3. Rotation of flexed knee